In Protein Energy Malnutrition which of the following immunoglobulin is reduced most?
1. IgG
2. IgM
3. IgA
4. IgE

Correct answer: 3. IgA

Explanation: Most common immunoglobulin reduced in Protein Energy Malnutriton is IgA which is involved in mucosal immunity. Low levels of IgA increases the susceptibility of infections in children with PEM.